Compression depth in CPR in Adults is?
1. 1 inch
2. 2 inch
3. 3 inch
4. 4 inch

Correct answer: 2. 2 inch

Explanation: Ans. (b) 2 inchRef: 2010 International Consensus on Cardiopulmonary Resuscitation and Emergency Cardiovascular Care Science with Treatment Recommendations CoSTR